Visual hallucinations without auditory hallucinations is seen in :
1. Organic brain damage
2. Obsessive compulsive neurosis
3. Agarophobia
4. Schizophrenia

Correct answer: 1. Organic brain damage

Explanation: A i.e. Organic brain disease